Anion gap is increased in all except:
1. Ureterostomy
2. Ethylene glycol
3. Methylene glycol
4. Diabetic ketoacidosis

Correct answer: 1. Ureterostomy

Explanation: Ans. A: Ureterostomy